Most common pulmonary manifestation in AIDS:
1. TB
2. Pneumonia
3. Bronchiectasis
4. Mycobacterial avium intercellular

Correct answer: 2. Pneumonia

Explanation: Pulmonary disease is one of the most frequent complications of HIV infection. The M/C manifestation of pulmonary disease is Pneumonia. Most common AIDS- defining illnesses are :- Recurrent bacterial pneumonia, Tuberculosis, and Pneumonia due to the unicellular fungus P.jiroveci.